Not true about subtrochanteric fracture
1. Russel and Taylor classification
2. Proximal fragment shows flexion deformity
3. Treated with Smith Peterson nail
4. Shows abduction deformity

Correct answer: 3. Treated with Smith Peterson nail

Explanation: Treated with cephalomedullary nail.
Femur neck fracture is treated with Smith Peterson nail.